Vitamin beneficial in osteoporosis in combination with Vitamin D is:
1. Vitamin E
2. Vitamin A
3. Vitamin K
4. Vitamin B

Correct answer: 3. Vitamin K